Dohle bodies are seen in -
1. Multiple myeloma
2. May-Hegglin anomaly
3. Waldenstrom Macroglobulinemia
4. Lymphoma

Correct answer: 2. May-Hegglin anomaly

Explanation: Döhle bodies are basophilic leukocyte inclusions located in the peripheral cytoplasm of neutrophils. They are said to be remnants of the rough endoplasmic reticulum.
Conditions associated with Dohle bodies

Burns
Infections
Physical trauma
Neoplastic diseases
Wissler’s disease
May-Hegglin anomaly (seen in neutrophil, monocyte, lymphocyte)
Chédiak-Steinbrinck-Higashi’s syndrome